Canon 'a' wave is seen in
1. Junctional rhythm
2. Atrial fibrillation
3. Atrial flutter
4. Ventricular fibrillation

Correct answer: 1. Junctional rhythm

Explanation: Ans. is 'a' i.e., Junctional rhythm